The dye used in the "Reductase enzyme" (caries activity
test) is
1. Diazoeresorcinol
2. Bromocresol green
3. 1% acid red in propylene glycol
4. Methyl blue

Correct answer: 1. Diazoeresorcinol